Follicular thyroid carcinoma is differenciated with follicular adenoma with
1. Hurthle cells
2. Capsular invasion
3. Clear cells
4. Hyperchromatic nuclei

Correct answer: 2. Capsular invasion

Explanation: B. i.e. (Capsular invasion) (768 - 69- Basic pathology 8th)* The follicular thyroid carcinoma is impossible to distinguish from follicular adenomas on gross examination. This distinction requires extensive histologic sampling of the tumor-capsule- thyroid interface, to exclude capsule and or vascular invasion (768 - Basic pathology 8th)* Extensive invasion of adjacent thyroid parenchyma makes the diagnosis of carcinoma obvious in some cases. Follicular lesions in which the nuclear features are typical of papillary carcinomas should be regarded as papillary cancers* Follicular thyroid carcinoma differs from papillary carcinoma in lacking. Papillae, ground- glass nuclei of tumour cells and psammoma bodies *** Term fetal adenoma is used for follicular adenoma thyroid*** Psammoma bodies are seen in - Papillary carcinoma of thyroid, Meningioma, serous cyst adenoma o fovary**** Mesothelioma is differentiated from adenocarcinoma by presence of long slender microvilli** (Kerala - 08)